Zellballen pattern is seen in
1. Paragangliomas
2. Pheochromocytom
3. Carotid by tumor
4. All of the above

Correct answer: 4. All of the above

Explanation: Answer- D. All of the above